Caries estimated by all except
1. Family member
2. Genetic factors
3. Cephalometric analysis
4. Salivary flow

Correct answer: 3. Cephalometric analysis